Risk factors for Endometriosis are all except
1. Nulliparity
2. Smoking
3. Early menarche
4. Alcohol consumption

Correct answer: 2. Smoking

Explanation: Smoking is protective factor for Endometriosis.